Which of the following agents is likely to cause cerebral calcification and hydrocephalus in a newborn whose mother has history of taking spiramycin but was not compliant with therapy?
1. Rubella
2. Toxoplasmosis
3. CMV
4. Herpes

Correct answer: 2. Toxoplasmosis

Explanation: b. Toxoplasmosis(Ref: Nelson's 20/e p 2814, Ghai 8/e p 574)Cerebral calcification with hydrocephalus in seen in congenital toxoplasmosis.